Rhabdomyosarcoma is treated by:
1. Chemotherapy
2. Radiation
3. Surgery
4. All of the above

Correct answer: 4. All of the above

Explanation: d. All of the above(Ref: Nelson's 20/e p 2468-2470, Ghai 8/e 618-619)Treatment of Rhabdomyosarcoma:It is based on risk classification of the tumor, which is determined by the stage of tumor, the tumor histology & the amount of tumor that was surgically resected prior to chemotherapy:-For low-risk: vincristine & actinomycin-For higher-risk disease: vincristine, actinomycin & cyclophosphamide along with radiation.